Trosier's sign is -
1. Rt. supraclavicular lymph node enlargment
2. Lt. supraclavicular Lymphnode enlargement
3. Carpopedal spasm
4. Migrating Thrombophlebitis

Correct answer: 2. Lt. supraclavicular Lymphnode enlargement